Which one of the following is synthesized from an essential amino acid?
1. Alanine
2. Glutamate
3. Proline
4. Tyrosine

Correct answer: 4. Tyrosine

Explanation: Tyrosine is formed from phenylalanine.